All of the following statements about Intrauterine devices (IUD) are true, EXCEPT:
1. Multiload Cu-375 is a third generation IUD
2. The pregnancy rate of Lippes loop and Cu-T 200 are similar
3. IUD can be used for Emergency Contraception within 5 days
4. Levonorgestrel releasing IUD has an effective life of 5 years.

Correct answer: 1. Multiload Cu-375 is a third generation IUD

Explanation: Multiload Cu 375 is a 2nd gen IUD. Other 2nd generation IUDs are CuT 380A, Nova T, and CuT 220C. Cu T 200 first generation IUD. Levonorgestrol IUCD is a 3rd generation IUCD, releasing 20 microgram of levonorgestrol per day has an effective life of 5 years. The pregnancy rate of Lippes loop and Cu T 200 is 3 and of Cu T 380A is 0.5-0.8. Nowadays, IUCDS are using for emergency contraception. Ref: Textbook of gynecology by D C Dutta 4th edition Page 439-40; Park's text book of preventive and social medicine 21st edition, Chapter Demography and family planning; Practice Of Fertility Control: A Comprehensive Manual 7th Edition By Chaudhuri page 95.